For an epidemiological study, every 10th person is selected from a population. This type of sampling is known as
1. Simple random sampling
2. Systematic random sampling
3. Stratified random sampling
4. Cluster random sampling

Correct answer: 2. Systematic random sampling